Kim's classification type IV is
1. Incomplete isthmus between two canals
2. Well defined complete isthmus between two canals
3. 3 or more canals with complete or incomplete isthmus
4. 3 or more canals without any visible connections

Correct answer: 3. 3 or more canals with complete or incomplete isthmus